In benign hypertension commonest vascular pathology is
1. Atherosclerosis
2. Fatty mfilitraion of intima
3. Fibmoid necrosis
4. Hyaline arteriosclerosis

Correct answer: 4. Hyaline arteriosclerosis

Explanation: In smaller arteries (< 1 mm), hyaline arteriosclerosis occurs in the wall, the lumen narrows and aneurysms may develop. Widespread atheroma develops and may lead to coronary and cerebrovascular disease, particularly if other risk factors (e.g. smoking,diabetes, hyperlipidaemia,) are present.These structural changes in the vasculature often perpetuate and aggravate hypertension by increasing peripheral vascular resistance and reducing renal blood flow, thereby activating the renin-angiotensin-aldosterone axis. ref:davidson's principles and practices medicine,ed 21,pg no 624